Heat labile liquids are sterilized by ?
1. Hot air oven
2. Autoclaving
3. Membrane filter
4. Moist heat

Correct answer: 3. Membrane filter

Explanation: Ans. is 'c' i.e., Membrane filter Filters are used to sterilize heat-labile solutions. Membrane filters are used to sterilize pharmaceutical substances, ophthalmic solutions, liquid culture media, oils, antibiotics and other heat sensitive solutions.